Cognizable offences are all except:
1. Voluntary causing hurt
2. Voluntary causing grievous hurt
3. Murder
4. Dowry death

Correct answer: 1. Voluntary causing hurt

Explanation: COGNIZABLE OFFENCE - 2 (C) CrPC - Police can arrest a person without arrest warrant Example : M - Murder D - Decoity R - Rape, Robbery, Ragging D - Dowry death